Reis buckler dystrophy affects which layer of the cornea?
1. Epithelium
2. Stroma
3. Bowman's layer
4. Endothelium

Correct answer: 3. Bowman's layer

Explanation: CLASSIFICATION OF CORNEAL DYSTROPHIES Dystrophies are classified according to the anatomic site most severely (primarily) involved, as follows: Anterior dystrophies Stromal dystrophies Posterior dystrophies primarily affects epithelium and Bowman's layer Primarily affects stroma Primarily affects the corneal endothelium and Descemet's membrane 1. Epithelial basement membrane dystrophy 2. Reis-Buckler's dystrophy 3. Meesman's dystrophy 4. Recurrent corneal erosion syndrome 5. Stocker-Holt dystrophy 1. Granular (Groenouw's type I) dystrophy 2. Lattice dystrophy 3. Macular (Groenouw's type II) dystrophy 4. Crystalline (Schnyder's) dystrophy 1. Cornea guttata 2. Fuchs' epithelial-endothelial dystrophy (late hereditary endothelial dystrophy). 3. Posterior polymorphous dystrophy (of Schlichting). 4. Congenital hereditary endothelial dystrophy(CHED). Reis-Buckler dystrophy Also known as ring-shaped dystrophy (due to the typical lesion) primarily involving the Bowman's layer is a progressive corneal dystrophy occurring in childhood. It has got an autosomal dominant inheritance. Most patients get frequent attacks of recurrent corneal erosions that usually result in diffuse anterior scarring. Treatment: In early cases, it is same as that of recurrent corneal erosions, i.e. by patching. However, most of the patients ultimately need lamellar or penetrating keratoplasty. Reis-Bucklers corneal dystrophy, is a rare, corneal dystrophy of unknown cause, in which the Bowman's layer of the cornea undergoes disintegration. The disorder is inherited in an autosomal dominant fashion, and is associated with mutations in the gene TGFB1. Ref: Khurana; 4th ed; Pg 117